The mother has sickle cell disease; Father is normal; Chances of children having sickle cell disease and sickle cell trait respectively are:
1. 0 and 100%
2. 25 and 25%
3. 50 and 50%
4. 10 and 50%

Correct answer: 1. 0 and 100%

Explanation: Answer is A (0 and 100) % : If the mother has sickle cell disease 'SS' and father is normal 'AA' all the offsprings will be 'SA' Thus % of sickle cell disease (SS) will be zero and that of sickle cell trait (SA) will be 100%. Sickle cell disease is the homozygous state of HbS (SS) where S stands for gene coding HbS Sickle cell trait is the heterozygous state of HbS (SA) where A stands for Absent gene. Normal individual has no gene for HbS (AA) If the mother has sickle cell disease 'SS' and father is normal 'AA' all the offsprings will be 'SA' Thus % of sickle cell disease (SS) will be zero and that of sickle cell trait (SA) will be 100%.